All of the statement regarding measles are true except-
1. Rash appears first on leg
2. Koplik spot are seen on the buccal mucosa
3. Long term complication may be seen in form of SSPE
4. Caused by RNA virus

Correct answer: 1. Rash appears first on leg

Explanation: Rash begins behind the ear and spread rapidly in a few hours over the face and neck, and extends down the body taking 2 to 3 days to progress to the lower extremities. Ref: PARK'S TEXTBOOK OF PREVENTIVE AND SOCIAL MEDICINE 23rd edition , Page:148